An obese lady accountant working in POF hospital Wah Cantt came to the dietician there and took advice for a balanced diet. Dietician told that important point for prudent diet is that
1. Unsaturated fats should be less than 10%
2. Dietary fat should be limited to 20-30% of total intake
3. Avoidance of complex carbohydrates
4. Proteins should account for 50-60% of diet

Correct answer: 2. Dietary fat should be limited to 20-30% of total intake